16 yr old, obese female presented with history of bilateral hip pain from a long duration. Endocrinology tests show hypothyroidism. She has a painful limping gait. Which of the following investigation is of no use in diagnosis of this condition?
1. X-Ray
2. MRI
3. CT
4. USG

Correct answer: 4. USG

Explanation: History given is suggestive of SCFE( Slipped capital femoral epiphysis). X-Ray showsa Trethowan's sign CT is used for Acute/Chronic slip MRI is IOC. USG has no role in diagnosing this condition.